Butt joint in cementoenamel junctions seen is ______ 0% of cases
1. 10%
2. 30%
3. 60%
4. 90%

Correct answer: 2. 30%